A 50 years old patient presented to the skin OPD with erythematous scaly plaques over trunk and extremities for last l0 years. Lesions are occasionally itchy. There is history of remission and relapse with exacerbation during winters. Most likely diagnosis is?
1. Lichen planus
2. Psoriasis vulgaris
3. Pityriasis rosea
4. Seborrhic dermatitis

Correct answer: 2. Psoriasis vulgaris

Explanation: Ans: B. Psoriasis vulgaris(Ref: Neena Khanna 4'h/e p. 40-48; Roxburg lVh/e p. 128-42; Venkataram 1"'/e p. 491)Psoriasis (psoriasis vulgaris):Psoriasis is chronic dermatosis characterized by unpredictable course of remission and relapse and presence of well defined silvery white scaly papules and plaques on erythematous base.Aggravated in winter.Lesions are mildly pruritic or non-pruritic.